What happens to corneal endothelium after injury?
1. Slowly regenerates
2. Regenerates rapidly
3. Never regenerates
4. Forms a scar

Correct answer: 3. Never regenerates

Explanation: (Refer: AK Khurana Comprehensive Ophthalmology, 6th edition, pg no. 95 - 96)The cell density of endothelium is around 3000 cells/mm2 in young adults, which decreases with the advancing ageCorneal endothelium does not regenerate but adjacent cells slide to fill in a damaged area.Endothelium studied by specular microscope.